Tetralogy of fallot is characterized by following except –
1. AS
2. VSD
3. Over–riding of aorta
4. Infundibular constriction

Correct answer: 1. AS